As regard the PCOS and hyperinsulinaemia:a) Hyperinsulinaemia is observed in about 40% to 5O% of women with PCOSb) Hyperinsulinaemia stimulates hepatic synthesis of SHBGc) Metformin causes hypoglycaemia in normo-glycaemic womend) Metformin has many other health benefits
1. b
2. c
3. ac
4. ad

Correct answer: 4. ad

Explanation: Insulin resistance and compensatory hyperinsulinaemia is observed in about 40% of women with normal weight and 80% obese women with PCOS. Hyperinsulinaemia results in decreased hepatic synthesis of SHBG and increased ovarian androgen biosynthesis. Metformin reduces weight, BMI fasting insulin levels, blood pressure and LDL cholesterol.
Metformin does not cause hypoglycemia neither in normoglycaemic patients nor with diabetic individuals.